Drug of choice for increased IOT in acute anterior uveitis –
1. Atropine
2. Timolol
3. 5% Epinephrine
4. 2% Pilocarpine

Correct answer: 2. Timolol

Explanation: Drug of choice for uveitis in hypertensive uveitis (uveitic glaucoma) → Topical steroid along with mydriatic - cycloplegic (atropine).
Drug of choice for raised IOT in acute anterior uveitis → Timolol.